Which IUCD acts for 10 years
1. Cu-T 200 B
2. Nova-T
3. Cu-T 380A
4. Multi load-250

Correct answer: 3. Cu-T 380A

Explanation: Cu T 308A is approved for use for 10 years However, it is demonstrated to maintain its efficacy over at least 12 years of use Reference: Park's textbook of preventive and social medicine, 23rd edition, Page no: 497